Which of the following statements regarding Voglibose is FALSE?
1. It acts by inhibiting the enzyme alpha-glucosidase
2. It reduces post-prandial hyperglycemia
3. It decreases the progression of impaired glucose tolerance to overt diabetes mellitus
4. It can cause hypoglycemia

Correct answer: 4. It can cause hypoglycemia

Explanation: Acarbose is a mild antihyperglycemic drug and not a hypoglycemic drug. Postprandial glycemia is reduced without increasing insulin levels. All alpha-glucosidase inhibitors will not produce hypoglycemia (REF. Essentials of medical pharmacology K D TRIPATHI 6 Edition, Page No - 270)